A large, protruding jaw; large hands and feet; normal height; and an elevated blood glucose level.
1. Elevated blood levels of aldosterone and renin resulting from an atherosclerotic plaque in a renal artery.
2. Hyperprolactinemia due to a pituitary tumor.
3. Acromegaly due to a GH-producing tumor that developed in adulthood.
4. Cushing syndrome due to an adrenal tumor.

Correct answer: 3. Acromegaly due to a GH-producing tumor that developed in adulthood.

Explanation: In acromegaly, the height is normal, but the jaw, hands, feet, and soft tissues grow. DM frequently occurs because of the stimulation of gluconeogenesis by GH and the inability of glucose to suppress the release of GH by the tumor.